A term, otherwise well neonate was found to have a total serum bilirubin of 17 mg/dl. So he was admitted in NICU and started on some treatment. All of the following can be adverse effects of the treatment administered EXCEPT?
1. Bronze baby syndrome
2. Hypercalcemia
3. Dehydration
4. Retinal toxicity

Correct answer: 2. Hypercalcemia

Explanation: Cut - off Levels (In an otherwise healthy neonate) Age Photo-Therapy Exchange Transfusion 24 - 48 hrs > 15 mg/dl > 20 mg/dl 48 - 72 hrs > 18 mg/dl > 25 mg/dl > 72 hrs > 20 mg/dl >25 mg/dl So, this baby must have been started on Phototherapy. Adverse Effects Of Phototherapy - Bronze baby syndrome (in c/o conjugated hyperbilirubinemia) - Watery diarrhea - Dehydration - Hypocalcemia - Retinal toxicity - Gonadal toxicity